A 35 yr old woman presents with swelling of the small joints of the hands. On examination, swan neck deformity is present. Labs show elevated RA factor levels and high anti-CCP levels. She diagnosed with rheumatoid arthritis and started on steroids for a short duration. What is the mechanism by which steroids reduce inflammation?
1. Inhibition of phospholipase A2
2. Inhibition of cyclo-oxygenase
3. | activity of lipoprotein lipase
4. Inhibition of lipogenase

Correct answer: 1. Inhibition of phospholipase A2

Explanation: Steroids reduce inflammation by: Inhibiting phopholipase A2, the precursor of arachdonic acid. Arachidonic acid is the precursor for prostagladins and leukotrienes, which inhibits phospholipase A2. Inhibit the production of interleukin-2 (IL-2) and proliferation A2. Inhibit the release of histamine and serotonin from mast cells and platelets. Ref: Guyton and Hall 13th edition Pgno: 975